A 10 year old male presented to the pediatric OPD with colicky pain, nausea, vomiting. Erect abdominal Xray shows multiple air fluid levels. Stool examination shows the following egg. Which of the following interleukin is secreted in this scenario?
1. IL-1
2. IL-2
3. IL-3
4. IL-5

Correct answer: 4. IL-5

Explanation: Interleukin 5 is secreted in the given scenario. The child here has intestinal obstruction caused by Ascaris lumbricoides (egg shown in the figure). IL-5 is responsible for the maturation and release of eosinophils in the bone marrow IL-1 (a and b)- SOURCE: Macrophages and other cell types FUNCTION:Proliferation and difefrentiation of T, B and other cells; pyrogenic; induce acute phase proteins; bone marrow cell proliferation IL-2 SOURCE:T cells FUNCTIONPromote growth and differentiation of T and B cells, cytotoxicity of T and NK cells, secretion of other lymphokines IL-3 SOURCE:T cells FUNCTION:Multi-CSF Reference: Ananthanarayan and Paniker's Textbook of Microbiology Tenth edition